Respiratory centre depression is caused by all except-
1. Opium
2. Strychnine
3. Barbiturates
4. Gelsemium

Correct answer: 2. Strychnine